Which of the following renal tumours is associated with tuberous sclerosis?
1. Angiomyolipoma
2. Renal papillary adenoma
3. Nephroblastoma
4. Oncocytoma

Correct answer: 1. Angiomyolipoma

Explanation: Angiomyolipoma of kidney: Benign tumour consists of vessels, smooth muscle, and fat originating from perivascular epithelioid cells. Present in 25% to 50% of patients with tuberous sclerosis, a disease caused by loss-of-function mutations in the TSC1 or TSC2 tumor suppressor genes. Tuberous sclerosis is characterized by: lesions of the cerebral cortex that produce epilepsy and intellectual disability, a variety of skin abnormalities (sebaceous adenomas, etc.), unusual benign tumors at other sites, such as the heart